Cherry-red colour in post mortem staining is a feature of poisoning with:
1. Nitrites
2. Aniline
3. Phosphorus
4. Carbon Monoxide

Correct answer: 4. Carbon Monoxide

Explanation: Colour of Post Mortem Staining in different conditions Condition Colour of Post mortem staining Usual colour Reddish purple CO Cherry red HCN Bright Red or Dark Red or Brick Red Hypothermia, drowning Bright Pink Opium Black P or acute Cu poisoning- Dark Brown or Yellow Nitrites, Nitrates, potassium chlorate, Potassium bicarbonate, nitrobenzene, acetanilide, bromates, Aniline Red Brown or Copper Brown or Chocolate Brown or Coffee Brown Hydrogen Sulphide Bluish green CO2, Asphyxia, Aniline Deep blue (In Aniline Deep blue as well as Red Brown colour can occur) Haemorrhage, Anaemia Pale Clostridium Perfringes- Bronze